The Vein of Galen drains into
1. Sigmoid sinus
2. Straight sinus
3. Transverse sinus
4. Basal vein

Correct answer: 2. Straight sinus

Explanation: Ans. b (Straight sinus). (Ref. BD Chaurasia, Anatomy, 3rd ed., Vol III 303)Great Cerebral Vein Of Galen# Single median vein formed by union of two internal cerebral veins.# Terminates into straight sinus.# Its tributaries include the basilic vein, veins from pineal body, colliculi, cerebellum and adjoining occipital lobes.# Vein of Galen malformation is one of the most common cause of congestive cardiac failure in neonates.# The dural venous sinuses receive cerebral veins from the brain and drain the venous blood mainly into the IJV.Dural venous sinusesSuperior sagittal sinus# It drains into the concluence of the sinuses (Torcular).Inferior sagittal sinus# It is located in the midsagittal plane, near the inferior margin of the falx cerebri.# It terminates by joining with the great cerebral vein of Galen to form the straight sinus at the junction of the falx cerebri and tentorium cerebelli.Straight sinus# It is formed by the union of the inferior sagittal sinus and the great cerebral vein.# It usually terminates by draining into the confluence of sinuses (or in transverse sinus).Occipital sinus# It is found in the attached border of the tentorium cerebelli.# It drains into the confluence of sinuses.Confluence of sinuses (torcular herophili)# It is formed by the union of the superior sagittal, straight, and occipital sinuses.# It drains into the two transverse sinuses.Transverse sinuses (Lateral sinuses)# It drains venous blood from the confluence of sinuses into the sigmoid sinuses.# Each sigmoid sinus joins with an inferior petrosal sinus to drain into the internal jugular vein below the jugular foramen.# Thrombosed in complicated chronic mastoiditis (DELTA SIGN on CT).